Air embolism in neural surgery maximum in which position:
1. Sitting
2. Supine
3. Trendelenburg
4. Left lateral

Correct answer: 1. Sitting

Explanation: Ans is 'a' i.e. Sitting